Speed of conduction is fastest in:
1. AV node
2. SA node
3. Bundle of His
4. Purkinje system

Correct answer: 4. Purkinje system

Explanation: D i.e. Purkinje System